Which of the following statements i strue about bacteriophage
1. it is bacterium
2. Uit imparts toxigenicity to bacteria
3. It helps in transformation
4. It transfer only chromosomal gene

Correct answer: 2. Uit imparts toxigenicity to bacteria

Explanation: Bacteriophage is a type of virus that soecifically infects bacteria and fungi.